Stocking and glove neuropathy is seen in :
1. Vinblastine
2. Paclitaxel
3. Etoposide
4. Mitoxantrone

Correct answer: 2. Paclitaxel